Fleischer ring is characteristic of
1. Megalocornea
2. Diabetes
3. Chalcosis
4. Keratoconus

Correct answer: 4. Keratoconus

Explanation: D i.e. Keratoconus Corneal Pigmentation Condition Deposited Material Site Of Deposition Argyrosis Sliver nitrate (AgNO3) Brown discolouration of descement's membrane Fleischer ring Iron Epithelial iron deposits at the base of Keratoconus Chalcosis (Kayser Fleischer ring) Cu Grayish-green or golden brown discolouration of stroma of peripheral cornea Wilson's disease/Hepatolenticular degeneration (Kayser Fleischer ring) Cu Grayish-green or brown ring is seen just inside the limbus due to Cu deposition between Descemet's membrane and endothelium Siderosis Fe (hemosiderin) - Green or brown discolouration of deeper layers of cornea. Blood staining can follow massive hyphaema either from contusion or surgery - Fleischer's ring representing deposition of haemosiderin is found in keratoconus Q Hudson-Stahli line Elderly Brown horizontal line in inferior third or cornea Krukenberg's spindle Myopic men Vertical spindle shaped brown uveal pigment deposition Topical epinephrine Used for glucoma Result in black cornea.